All of the following can be seen after transurethral resection of prostate except:
1. Congestive cardiac failure
2. Transient blindness
3. Convulsions
4. Hypernatremia

Correct answer: 4. Hypernatremia

Explanation: Ans. (d) HypernatremiaTUR Syndrome (Dilutional Hyponatremia/Water Intoxication)* Nausea, Vomiting, Confusion* CCF* Convulsions* Hypertension* Bradycardia* Visual disturbanceTreatment- Diuretics (frusemide), in severe cases- Hypertonic Saline is used